Which is a heme protein -
1. Hemoglobin
2. Catalase
3. Cytochrome
4. All of the above

Correct answer: 4. All of the above

Explanation: Ans. is 'd' i.e., All of the aboveo Hemoproteins are proteins which have heme as prosthetic group.o Important hemoproteins are hemoglobin, myoglobin, cytochromes (cytochrome C, cytochrome P450), catalase, peroxidase, tryptophan pyrrolase and nitric oxide synthase.